Blastomycosis is characterized by all except
1. Yeast like fungus
2. Commonly involves lung and skin
3. Dimorphic fungus
4. Common in South America

Correct answer: 4. Common in South America

Explanation: Blastomycosis - infection is largely confined to the North America, it is also known as North American blastomycosis. Infection is acquired by inhalation so mainly affects lungs. Ref: Textbook of Microbiology, Ananthanarayan and Paniker; 9th edition